Thiopentone does not cause:
1. Fall in intracranial tension
2. Decreases oxygen consumption of brain
3. Decreases metabolic rate of brain
4. Decreases stage 2 of sleep

Correct answer: 4. Decreases stage 2 of sleep

Explanation: Thiopentone decreases oxygen consumption, metabolic rate and ICT. That is why it is agent of choice for cerebral protection. On sleep it increases stage 2 and decreases stage 3, 4 and REM.